Couvelaire uterus is present :
1. Placenta praevia
2. Abruptio placenta
3. Vasa previa
4. All of he above

Correct answer: 2. Abruptio placenta

Explanation: Abruptio placenta